Which of the following phases of dental amalgam has minimum strength
1. Gamma 1
2. Gamma 2
3. Epsilon 1
4. Gamma 3

Correct answer: 2. Gamma 2